Magnesium is not involved in ?
1. Cellular oxidation
2. Membrane transport
3. Increased neuromuscular excitability
4. Glucose tolerance

Correct answer: 3. Increased neuromuscular excitability

Explanation: Ans. is 'c' i.e., Increased neuromuscular excitability Biochemical functions of magnesium o Important function of magnesium are :?1. Enzyme activationMagnesium activates a number of enzymes, particularly in which ATP-Mg" is a substrate, i.e. phosphate transferring enzymes.The enzymes needing magnesium are involved in intermediary metabolism, transcellular ion transport, muscle contraction and oxidative phosphorylation.Important examples of such enzymes are hexokinase, phosphofructokinase, pyruvate kinase, Glucose-6- phosphatase, enolase, creatine kinase, other phosphatases and kinases, adenylate cyclase, glutamine synthase, thiokinase, squalene synthase etc.2. Neuromuscular excitibilityNeuromuscular excitibility is decreased by magnesium, therefore, a decrease in magnesium level results in increased nerve excitibility.3. OtherMagnesium improves glucose tolerance, probably by enhancing insulin dependent glucose uptake.Magnesium is a constituent of bone & teeth.Magnesium binds to other nucleoside phosphates and nucleic acids and is required for DNA replication, transcription and translation.The DNA helix is stabilized by binding of histones and magnesium to the exposed phosphate groups.